If Paery>Palveolus>Pvein, under normal circumstances, which zone of the lung is being described?
1. Zone I
2. Zone II
3. Zone III
4. Zone IV

Correct answer: 2. Zone II

Explanation: Zone I ~ no blood flow (Palv> Part>Pvein) Zone II ~ intermittent blood flow, i.e., during systole - Part, cap>Palv>Pvein, Zone III ~ continuous blood flow (Part>Pvein>Palv) These zones get created due to the interplay between alveolar pressure and the pressure in the pulmonary vessels. - In the recumbent posture, entire lung has zone III type of blood flow as heart would not have to pump blood against gravity to any region of the lung.